Refsum's disease is due to deficiency of which of the following enzyme?
1. Malonate dehydrogenase
2. Thiophorase
3. Succinate thiokinase
4. Phytanic alpha oxidase

Correct answer: 4. Phytanic alpha oxidase

Explanation: Phytanic alpha oxidase 

Refsum disease is caused by a deficiency of phytanic acid α -hydroxylase (α -oxidase) which is required for a-oxidation of methylated fatty acids, phytanic acid.